6 year old drowsy child came in emergency with history of vomiting, loose motion for 3 days. On examination he had sunken eye, hypothermia, skin on pinching taken time to revert diagnosis
1. No dehydration
2. Mild dehydration
3. Some dehydration
4. Severe dehydration

Correct answer: 4. Severe dehydration

Explanation: Sunken eyes, mouth and tongue very dry , condition lethargy ,skin pinch goes back very slowly The patient has 2 / more signs there is severe dehydration Ref: Ghai pediatrics eighth edition pg no 293